Nova T has the following :
1. Silver core
2. Copper core
3. Platinum core
4. Iron core

Correct answer: 1. Silver core

Explanation: Silver core